Tinnels sign indicates ?
1. Atrophy of nerves
2. Neuroma
3. Injury to nerve
4. Regeneration of nerves

Correct answer: 4. Regeneration of nerves

Explanation: Ans. is 'd' i.e., Regeneration of nerves